which of the following is not found as a part of sarcoidosis ?
1. erythema nodosum
2. MI
3. arrythemias
4. CNS involvement

Correct answer: 2. MI

Explanation: CLINICAL PRESENTATION Acute Sarcoidosis * Lofgren's syndrome - acute erythema nodosum with bilateral hilar lymphadenopathy, fever, and polyarthritis, non granulomatous uveitis * Symptoms are typically abrupt in onset and have a transient course. * A vesicular or maculopapular rash, acute iritis, conjunctivitis, and Bell's palsy may also be features of acute disease Treatment of Sarcoidosis : Decision to Treat with CORTICOSTEROIDS: Patient Subgroup Decision: 1. Asymptomatic Pts -- No treatment 2. Mild Pulmonary Dysfunction -- Observation 3. Mild-Mod. Pulmonary Dysfunction -- Observation -> Treat if no improvement after 6 months. 4. Severe Pulmonary Dysfunction -- Treatment Presentation ref : harrisons 21st ed